Which of the following is a common cause of the coagulation failure in obstetrics ?
1. Gestational diabetes
2. Accidental hemorrhage
3. Placenta previa
4. Rupture of the uterus

Correct answer: 2. Accidental hemorrhage

Explanation: CONSUMPTIVE COAGULOPATHY/ DIC IN OBSTETRICS In the accidental hemorrhage / abruptio placentae there is intravascular activation of clotting, secondary to a significant retroplacental bleed which leads to more procoagulant consumption. DIC is more likely with concealed hemorrhage because of higher intrauterine pressure The retroplacental clot triggers tissue thromboplastin factor which in turn triggers disseminated intravascular coagulation (DIC). CAUSES: Abruption Amniotic fluid embolism PPH HELLP syndrome Pre eclampsia/ eclampsia AFLP IUFD